Multinucleate giant cells are seen in Tzanck smear in
1. VZV
2. Bullous pemphigoid
3. Toxic epidermal necrolysis
4. Pemphigus

Correct answer: 1. VZV

Explanation: In viral infections, Tzanck test shows multinucleated giant cells ("Tzanck cells") in center. Tzanck smear, is scraping of an ulcer base to look for Tzanck cells. It is sometimes also called the chickenpox skin test and the herpes skin test, varicella zoster virus skin test. Ref Harrison 20th edition pg 1256